All of the following are tests to determine the stoppage of circulation except -
1. Magnus's test
2. Diaphanous test
3. Icard's test
4. Mirror held in front of a nostril

Correct answer: 4. Mirror held in front of a nostril

Explanation: Mirror held in front of nostril (mirror test) is for cessation of respiration.
Tests for cessation of respiration : (i) Mirror test, (ii) Winslow's test, (iii) Feather test.
Tests for cessation of circulation : (i) Magnus ligature test, (ii)Diaphanous test (transillumination test), (iii) Icard's test, (iv) Finger nail test.